Treatment of pleomorphic adenoma without facial nerve infiltration and limited to superficial lobe:
1. Superficial parotidectomy
2. Total parotidectomy
3. Parotidectomy followed by radiotherapy
4. Observation

Correct answer: 1. Superficial parotidectomy

Explanation: Pleomorphic adenoma: * Most common salivary gland tumor * Benign, painless tumor with no facial nerve involvement * Most common site - Parotid, Submandibular, Sublingual, minor salivary gland * Location: Infront, below and behind ear lobule * Pathology: Mixed tumor has both epithelial and mesenchymal component * Tumor has finger like projections (pseudopodia)- so, Enucleation is C/I * Diagnosis: FNAC * Treatment: Superficial Parotidectomy